Application of Incubation period is all except ?
1. To differentiate co-primary cases from secondary cases
2. To find out time for isolation
3. To find out time for Quarantine
4. To prevent infection to the contacts of the infected person

Correct answer: 2. To find out time for isolation

Explanation: Ans is 'b' i.e. To find out time for isolation "The duration of isolation is determined by the duration of communicability of the disease and the effect of chemotherapy on infectivity."- Park